Clicking of denture during speaking is due to
1. Increased vertical dimension of occlusion
2. Increased interocclusal space
3. Decreased vertical dimension of occlusion
4. Both 'B' & 'C'

Correct answer: 1. Increased vertical dimension of occlusion